Artery involved in 3rd cranial nerve lesion?
1. Anterior communicating
2. Posterior communicating
3. Posterior cerebral
4. Anterior cerebral

Correct answer: 2. Posterior communicating

Explanation: Ans. (b) Posterior communicatingRef: Harrison 18/e, chapter 275, Principles and practice of emergency neurology Sid M shah and Kevin M Kelly Textbook of ophthalmology vol. 1 by sunitaagarwal